Which of the following is used in rape victims to determine the rupture of the hymen?
1. Gram rod
2. Glaister Keen rod
3. Gaba rod
4. Cylinder rod

Correct answer: 2. Glaister Keen rod

Explanation: Glaister Keen rod is used for close examination of the hymen or the degree of its rupture. Ref - Krishan Vij 5th edition pg 314